In Kluver-Bucy animals, lesion is in:
1. Prefrontal cortex
2. Corpus callosum
3. Pituitary gland
4. Amygdala

Correct answer: 4. Amygdala

Explanation: Kluver-Bucy syndrome refers to the changes in behavior due to bilateral destruction of anterior portions of temporal lobes & amygdala on both sides. It is characterised by: The animal is not afraid of anything, It has extreme curiosity about everything, It has a tendency to place everything in its mouth, The animal has an extreme sex drive.